Which of the following is not an action of growth hormone:
1. Anti insulin effect
2. Increased cartilage formation
3. Decreased lipolysis
4. Increased protein synthesis

Correct answer: 3. Decreased lipolysis

Explanation: Insulin shows anti insulin effect and stimulate production of insulin like growth factor Anti insulin effect: increased lipolysis, hyperglycemia Effects mediated by insulin like growth factor: increased cartilage and bone formation, increased protein synthesis and growth factor secretion, Ref:Guyton and Hall textbook of medical physiology 12th edition,page number: 556-558